Sluder's neuralgia includes all except:
1. Neuralgic pain in the upper half of face
2. Rhinorrhea
3. Increased lacrimation
4. Nasal stuffiness

Correct answer: 1. Neuralgic pain in the upper half of face

Explanation: Sluder's neuralgia is a variant of cluster headache with pain in lower half of face particularly the maxillary area with associated autonomic symptoms such as rhinorrhea, lacrimation, nasal stuffiness and ocular congestion. Its origin is from sphenopalatine ganglion.